The commonest cause of chronic renal failure is-
1. Diabetes mellitus
2. Hypertension
3. Pyelonephritis
4. Cystic disease of kidneys

Correct answer: 1. Diabetes mellitus

Explanation: The most common cause of chronic renal failure is diabetes mellitus (20-40%)- high blood sugar levels caused by diabetes damage blood vessels in the kidneys (diabetic nephropathy). Hypertension(5-20 %)- damages blood vessels, cystic diseases of the kidney(5%), recurrent pyelonephritis, glomerular and tubulo-interstitial diseases, drugs etc. are other common causes of CKD. Reference : page 484 Davidson's Principles and practice of Medicine 22nd edition